True about Insulin action is:
1. Causes neoglucogenesis
2. Not useful for growth & development
3. Required for transport of glucose, aminoacid, K+ & Na+0
4. Catabolic hormone

Correct answer: 3. Required for transport of glucose, aminoacid, K+ & Na+0

Explanation: C i.e. Required for transport of glucose, aminoacid, K+ & Na+